A patient presents with defective adduction of the hip joint and pains in the hip and knee joint. Which nerve is involved -
1. Obturator nerve
2. Femoral nerve
3. Saphenous nerve
4. Sciatic nerve

Correct answer: 1. Obturator nerve

Explanation: Adductor compartment is supplied by obturator nerve.